Borax is:
1. Gastrointestinal irritants
2. Genitourinary irritants
3. Ecbolics
4. Emmenagogues

Correct answer: 4. Emmenagogues

Explanation: Ans. Emmenagogues